Immunoglobulin which is produced first by the fetus in response to infection:
1. IgG
2. IgA
3. IgM
4. IgD

Correct answer: 3. IgM

Explanation: Ans: c (IgM)Ref: Ananthanarayan Micro, 7thed, p. 89 & 6th ed, p. 83, 84